First cellular change in hypoxia
1. Decreased oxidative phosphorylation in mitochondria
2. Cellular swelling
3. Alteration in cellular membrane permeability
4. Clumping of nuclear chromatin

Correct answer: 1. Decreased oxidative phosphorylation in mitochondria

Explanation: Ref, Robbins 8/e p18;7/e p15;9/ep45